What is the ideal time for cord clamping in a term baby according to the recent guidelines?
1. Immediate
2. After 30 seconds
3. After 1 minute minimum
4. After 15 seconds

Correct answer: 3. After 1 minute minimum